A woman tells you that she cannot urinate in a public restroom because she is embarrassed. Because of this problem, she can rarely leave home. The best diagnosis is?
1. Specific phobia
2. Separation anxiety disorder
3. Social phobia
4. Post-traumatic stress disorder

Correct answer: 3. Social phobia

Explanation: The woman who cannot urinate in a restroom because of embarrassment is probably suffering from social phobia. In social phobia, aspects of the social situation cause irrational fear in the individual. There is no evidence in this woman of separation anxiety disorder or of a specific phobia (i.e. an irrational tear of something